Corneal dystrophy, true is -
1. Inflammatory
2. Neovascularization
3. Bilateral
4. All

Correct answer: 3. Bilateral

Explanation: Ans. is 'c' i.e., BilateralCorneal dystrophieso Corneal dystrophy is a group of disorders, characterized by a non-inflammatory, inherited, bilateral opacity of the cornea. There is no vascularization of cornea. Dystrophies are classified according to the anatomical involvement.Anterior Corneal DystrophiesStromal Corneal DystrophiesPosterior Corneal DystrophiesEpithelium :o Meesamnn's dystrophyo Epethelium Basement membrane dystrophy (map/dotdmgerprint)Stromao Granular dystrophy (Groenouw's type I)o Lattice dystrophy f Type 1, III, III A and IV)o Macular dystrophyo Gelatinous droplike dystrophyo Fleck dystrophyo Central crystalline dystrophy of Schnvdero Central cloudy dystrophy of Francoiso Parenchymatous dystrophy of Pillato Posterior amorphous dystrophyo Pre-Descement dystrophyo Avellino's dystrophyo Meretoja syndrome (Lattice type II)o Marginal crystalline dystrophy of BiettiEndothelial dvstronhvo Fuch's endothelial dystrophyo Congenital hereditary endothelial dystrophyo Posterior polymorphous dystrophyBowman's laver :o Reis-Bucklers dystrophyo Anterior membrane dystrophy of Grayson-Wilbrandto Honeycomb dystrophy of Thiel and Behnkeo Subepithelial mucinous corneal dystrophy Epithelial basement membrane dystrophy is the most common Anterior Corneal DystrophyLattice dystrophy is the most common Stromal Corneal dystrophy (Lattice Type I is the commonest type of Lattice Dystrophy). Macular dystrophy is the least common of the classic stromal dystrophies'Fuch's Endothelial Dystrophy is the most common Posterior/Endothelial corneal Dystrophy